Emergency Tracheostomy
1. Horizontal skin incision
2. Vertical incision
3. Cosmetically better
4. Is well planned and prepared

Correct answer: 2. Vertical incision